Relapsing fever is transmitted by -
1. Hard tick
2. Sandfly
3. Soft tick
4. Tsetse fly

Correct answer: 3. Soft tick

Explanation: Relapsing fever is transmitted by soft tick. Ornithodorus moubata is the soft tick that transmits relapsing fever. These ticks lack scutum. They have 5 nymphal stages. Other diseases transmitted by soft tick are KFD and Q fever. Park's Textbook of Preventive and Social Medicine, 25th Edition, Pg